Commonest complication of extra capsular fracture of femur is:
1. Non union
2. Mal union
3. Avascular necrosis
4. Osteoarthritis

Correct answer: 2. Mal union

Explanation: Ans. B: Mal Union Complications of extra-capsular/ inter-trochanteric fracture: Union of the fracture in an unacceptable position resulting in a deformity/ malunion- the fracture heals with unacceptable shortening, rotation, and/or angulation of the extremity, resulting in decreased mobility and subsequent handicap, impairment, and disability. Rarely osteo-arthritis.